A person with mitral regurgitation and atrial fibrillation presents with syncope. On examination the person has a heart rate of 55. What is the most probable cause ?
1. Digitalis toxicity
2. Incomplete heart block
3. Stroke
4. Subarachnoid Haemorrhage

Correct answer: 1. Digitalis toxicity